Reservoir of HSV?
1. Man
2. Monkey
3. Both
4. None

Correct answer: 1. Man

Explanation: Reservoir of HSV is Man. HSV: HSV infections are exclusively human disease. Humans are the only natural reservoirs. An infected person is a life long source and reservoir of the virus. Vesicle fluid, saliva and vaginal secretions are the important sources of infection for both types of HSV. Transmission: Direct contact with mucosa or abraded skin (HSV 1), Sexual mode or vertical mode (HSV 2). Latency: Trigeminal ganglia (HSV 1), Sacral ganglia (HSV 2). Monkeys are the reservoir of KFD (Kyasanur Forest Disease).